Kelly's suture is done in :
1. Stress incontinence
2. Cervical incontinence
3. Genito-urinary prolapse
4. Vaginoplasty

Correct answer: 1. Stress incontinence

Explanation: Stress incontinence